In the composition of normal dry air of the atmosphere at ground level in an unpolluted area, which one among the following is found in highest concentration ?
1. Carbon dioxide
2. Hydrogen
3. Methane
4. Nitrous oxide

Correct answer: 1. Carbon dioxide